Normal intraocular pressure is
1. 2.1-6 mm Hg
2. 7-14 mm Hg
3. 10-21 mm Hg
4. 16-32 mm Hg

Correct answer: 3. 10-21 mm Hg

Explanation: (Refer: AK Khurana Comprehensive Ophthalmology, 6th edition, pg no. 223)The intraocular pressure (IOP) refers to the pressure exerted by intraocular fluids on the coats of the eyeball. The normal IOP varies between 10 and 21 mmHg.